Marker of acute kidney injury all except?
1. Clusterin
2. Osteopontin
3. Alanine aminopeptidase
4. Acid phosphatase

Correct answer: 4. Acid phosphatase

Explanation: Ans. is 'd' i.e., Acid phosphatase o Acid phosphatase is not a market of AKI, instead it is alkaline phosphatase.o List of markers for AKI# Alanine aminopeptidase(AAP)# Alkaline phosphatase (AP)# a-GIutathione-S-transferase (a-GST)# g-Glutamyl transpeptidase (gGT)# N-Acetyl-b-(D) gluco-saminidase (NAG)# b2-Microglubulin# a1-Microglubulin# Retinol-binding protein# Cystatin C# Microalbumin# Kidney injury molecule-1 (KIM-1)# Neutrophil gelatinase associated lipocalin (NGAL)# Interleukin-18 (IL-18)# Cysteine-rich protein (CYR-61)# Osteopontin# Liver fatty acid-binding protein (L-FABP)# Sodium/hydrogen exchanger isoform (NHE3)# Exosomal fetuin-A